Which of the following is not a natural abrasive
1. Arkansas stone
2. Pumice
3. Tripoli
4. Rouge

Correct answer: 4. Rouge